Heberden's nodes are seen in:
1. Osteoarthritis of the Distal interphalangeal joints
2. Osteoarthritis of the Proximal interphalangeal joints
3. Rheumatoid arthritis of the 1st carpometacarpal joint
4. Rheumatoid arthritis of the Distal interphalangeal joints

Correct answer: 1. Osteoarthritis of the Distal interphalangeal joints

Explanation: Osteoarthritis characteristically involves distal interphalangeal joint (Heberden's node), proximal interphalangeal joint (Bouchard's node), 1st carpometacarpal joint (base of thumb) of hand with sparing of metacarpophalangeal joint and wrist joint.